Folie a deux is seen in -
1. Hysteria
2. Paranoid
3. OCD
4. Neurasthenia

Correct answer: 2. Paranoid

Explanation: Folie a deux (sharing of delusion) is seen in induced paranoid disorder (induced delusional disorder).